Loss of 'Y' chromosome is associated with which of the following types of renal cell carcinoma (RCC)?
1. Clear cell RCC
2. Papillary RCC
3. Chromophobe RCC
4. Collecting duct RCC

Correct answer: 2. Papillary RCC

Explanation: Papillary RCC accounts for 10% to 15% of renal cancers. It is characterized by a papillary growth pattern. The most common cytogenetic abnormalities are:- Trisomies 7 and 17 Loss of Y in male patients in the sporadic form Trisomy 7 in the familial form. These tumors are not associated with 3p deletions.